Myoclonic seizure typically seen in:
1. SSPE
2. Cerebellar lesion
3. Pontine lesion
4. Thalamic lesion

Correct answer: 1. SSPE

Explanation: Answer is A (SSPE): Subacute sclerosing Panencephalitis is characteristically associated with myoclonic jerks or seizures. 'The hallmark of second stage of SSPE is massive myoclonus.' Subacute Sclerosing Panencephalitis (SSPE) SSPE is a chronic complication of measles with a delayed onset and an outcome that is nearly always fatal This is considered a 'slow virus infection' and is believed to result from persistant infection with an altered measles virus that is harboured intracellularly in CNS for several years. Stage I (initial stage) * Subacute changes in behaviour or school performance including irritability, reduced attention, temper outbursts. Stage II (Second stage) * Outbursts believed to result from extension of inflammatory process to deeper structures in the brain Massive Myoclonus is the hallmark of this stage. Involuntary movements and repetitive mycoclonic jerks are seen Consciousness is maintained Stage III (Third state) : Believed to result from damage/destruction of deeper centres in blood ganglia Involuntary movements disappears and are replaced by choreoathetosis, immobility, dystonia and lead pipe rigidity. Sensorium deteriorates and dementia, stupor or coma may be seen. Stage IV (Final stage) Believed to result from damage to critical centres in the brain that support breathing, heart rate & blood pressure Death soon ensues